An investigator wants to study the association between maternal intake of iron supplements (Yes or No) and incidence of low birth weight (< 2500 or 2500 gms). He collects relevant data form 100 pregnant women as to the status of usage of iron supplements and the status of low birth weight in their newborns. The appropriate statistical test of hypothesis advised in this situation is -
1. Paired-t-test
2. Unpaired or independent t-test
3. Analysis of variance
4. Chi-Square test

Correct answer: 4. Chi-Square test